In terms of birth defect potential, the safest of the following drugs is
1. Alcohol
2. Isotretinoin (Accutane)
3. Tetracyclines
4. Progesterones

Correct answer: 4. Progesterones

Explanation: Alcohol sequelae include retardation of intrauterine growth, craniofacial abnormalities, and intellectual disability. Isotretinoin, a drug for acne, is asoociated with congenital anomalies like Microtia, Micrognathia, cleft palate, thymic aplasia, CVS anomalies, NTDs Tetracyclines interfere with development of bone and can lead to stained teeth in children. Regarding progesterones use in pregnancy, controlled studies have failed to demonstrate a significant association with increased risk.